Features of glomerular haematurla -
1. Dysmorphic R.B.C.
2. Fragmented R.B.C.
3. Full of R.B.C. in high power field
4. Gross haematuria

Correct answer: 1. Dysmorphic R.B.C.

Explanation: Features of glomerular hematuria include red cell casts & dysmorphic erythrocytes in urine microscopy. In hematuria due to infection, white blood cells will be present whereas in hematuria due to tumour, abnormal epithelial cells will be present. Ref Harrison20th edition pg 223